All the following organs likely undergo coagulative necrosis except -
1. Spleen
2. Heart
3. Kidney
4. Brain

Correct answer: 4. Brain

Explanation: Ans. is 'd' i.e., Brain Coagulative necrosiso This is most common type of necrosis.o This type of necrosis is most frequently caused by sudden cessation of blood flow {ischemia) in organs such a; heart (MI), Kidney (ATX), adrenal gland, and spleen.Note:# Brain is the only exception, i.e.,. It is the only solid organ in which ischemia leads to liquifactive necrosis no coagulative necrosis.